Which viral association is found in pityriasis rosea :
1. HHV 7
2. CMV
3. Vericella Zoster
4. EBV

Correct answer: 1. HHV 7

Explanation: A. i.e. HHV-7